Articulation of pisiform bone is with:
1. Triquetral
2. Lunate
3. Scaphoid
4. Trapezoid

Correct answer: 1. Triquetral

Explanation: Ans. A TriquetralRef: BDC, 6th ed. vol. I pg. 25; Snell's 8th ed. pg. 402PISIFORM* It is a sesamoid bone in the tendon of flexor carpi uinaris.* Its dorsal surface presents a smooth, oval facet, for articulation with the triquetral* The palmar surface is rounded and rough, and gives attachment to the transverse carpal ligament, and to the Flexor carpi uinaris and Abductor digiti quinti.